The type of distribution, if mean 209, median 196, and mode 135 ?
1. Standard curve
2. Positively skewed
3. Negatively skewed
4. J-shaped

Correct answer: 2. Positively skewed

Explanation: Ans. is 'b' i.e., Positively skewed In question, mean > median > mode - Feature of positively skewed deviation.